Drug of choice for MRSA-
1. Penicillin G
2. Ceftriaxone
3. Vancomycin
4. Cefazoline

Correct answer: 3. Vancomycin

Explanation: Ans. is 'c' i.e., Vancomycin Methicillin resistance staphvloccus aureus (MRSA)o MRSA is a bacterium responsible for several difficult to treat infections in humans.o It may also be referred to as multidrug resistant staphyloccus aureus or oxacillin resistant staphylococcus aureus (ORSA)o MRSA is bv definition any strain of staphylocccus aureus that is resistant to a /J-lactams (includingpenicillin, methicillin, cloxacillin, nafcillin and oxacillin, cephalosporin),o Resistance develops due to alteration in transpeptidase (penicillin binding protein) on which all fi-lactam antibiotic act - So, MRSA is resistant to all ft-lactam antibiotics.o MRSA (especially community acquired MRSA; CA-MRSA) display enhaced virulence, spreading more rapidly and causing disease much more severe than traditional staphylocccus aureus.o Vancomycin is the DOC for MRSA.